False statements about fragile- X syndrome is ?
1. Breakage in long arm of X chromosome
2. Common genetic disorder
3. Micro-orchidism
4. Long face

Correct answer: 3. Micro-orchidism

Explanation: Ans. is 'c' i.e., Micro-orchidism